The occlusal surface of a primary mandibular first molar often has a prominent faciolingual ridge. This transverse ridge connects which two cusps?
1. Buccal and distolingual.
2. Mesiolingual and distobuccal.
3. Mesiobuccal and mesiolingual.
4. Distobuccal and distolingual.

Correct answer: 3. Mesiobuccal and mesiolingual.

Explanation: Transverse ridge connecting MB and ML cusps.